Which enzyme is inhibited by aminophylline?
1. Monoamine oxidase
2. Alcohol dehydrogenase
3. Phosphodiesterase
4. Cytochrome

Correct answer: 3. Phosphodiesterase

Explanation: Aminophylline (Methylxanthine) inhibits phosphodiesterase which degrades cyclic neucleotides intracellularly. Ref: Essentials of Pharmacology By K D Tripathi, 5th Edtion, Page 202.